HIV-E is more common
1. India
2. Africa
3. Europe
4. Thailand

Correct answer: 4. Thailand

Explanation: Since HIV/AIDS was first reported in Thailand in 1984, 1,115,415 adults had been infected as of 2008, with 585,830 having died since 1984. ... In 2009 the adult prevalence of HIV was 1.3%. As of 2016, Thailand had the highest prevalence of HIV in Southeast Asia at 1.1 percent, the 40th highest prevalence of 109 nations According to the researchers, the shorter survival time measured in the studies suggests that HIV subtype E, which is the most common HIV subtype in Thailand, may be more virulent than other subtypes of the virus. The first study followed 228 men over a 14-year period starting in 1991. Ref Harrison20th edition pg 987